The structure connecting the posterior surface of lens to capsule is called-
1. Hyaloideocapsular ligament of Weiger
2. Vitreous Base
3. Cloquets's Canal
4. Collagen fibres.

Correct answer: 1. Hyaloideocapsular ligament of Weiger

Explanation: Hyaloideocapsular ligament of Weiger or retrolental ligament is a strong adhesion between the lens and posterior capsule. It is a circular adhesion 8-9mm in diameter. This attachment is termed as Egger's Line. Within this circle is a potential space called as Space of Burger or Erggelet's space. Ref: Andres Bernal, Jean-Marie Parel, Fabrice Manns; Evidence for posterior zonular fiber attachment on the anterior hyaloid membrane; "Investigative Ophathal mology and Visual Science" 2006, 47, 4708-4713.